Abductor muscle of vocal cord is
1. Cricothyroid
2. Interarytenoid
3. Lateral cricoarytenoid
4. Posterior cricoarytenoid

Correct answer: 4. Posterior cricoarytenoid

Explanation: movement and muscle: 1. elevation of larynx: thyrohyoid, mylohyoid 2. Depression of larynx: sternothyroid, sternohyoid 3. Opening inlet of larynx: thyroepiglottic 4.abductor of vocal cords: posterior cricoarytenoid only 5. Adductor of vocal cords: lateral cricoarytenoid and transverse and oblique arytenoids Ref BDC volume 3; 6th edition pg 258